Orthotolidine test is used to determine –
1. Nitrates in water
2. Nitrites chlorine in water
3. Free and combined chlorine in water
4. Ammonia content in water

Correct answer: 3. Free and combined chlorine in water

Explanation: Orthotolidine test (OT test) 

It is used to determine both free and combined chlorine in water with speed and accuracy.
In this test, the reagent (O tolidine, dissolved in 10% solution of HCL) is dissolved in 1ml of water containing
chlorine.
The water turns yellow and the intensity of the colour varies with the concentration of the gas.
The yellow colour is produced by both free and combined chlorine residuals.
Orthotolidine instantaneously reacts with free chlorine, while it react more slowly with combined chlorine.
Time taken to produce colour


Free chlorine → within seconds (10s)
Combined chlorine →15-20 minutes